Most common benign lesion of vocal cord in pediatric age group is:
1. Granular Cell Tumor
2. Chondroma
3. Multiple Papilloma
4. . Solitary Papilloma

Correct answer: 3. Multiple Papilloma

Explanation: Multiple papilloma Although multiple laryngeal papillomas are a rare laryngeal disease they are the most common laryngeal tumors in childhood. They may be present at birth but more commonly they arise around the age of 2 years. Cause is unknown but certain viruses have been blamed. At laryngoscopy the papilloma look like bunches of wart like disfiguring outgrowths which are pinkish white in color and are always multiple. Symptoms depend upon position and size le. If they are big enough to compromise the airway they will cause stridor otherwise they will produce dysphonia. The principal of treatment is to remove the papillomas without damaging the larynx and to wait for normal resolution of the condition. Laser beam microlaryngeal techniques are highly successful and reduce the recurrence.